Gastrointestinal Motility is decreased in all of the following, except:
1. Amyloidosis
2. Diabetes
3. Scleroderma
4. Hyperthyroidism

Correct answer: 4. Hyperthyroidism

Explanation: Answer is D (Hyperthyroidism) Hyperthyroidism is associated with increased gastric and intestinal motility while Hypothyroidism is associated with decreased gastric and intestinal motility.